A patient of tubercular synovitis of hip joint was started on ATT and skin traction was applied, no improvement is seen after prolonged chemotherapy. What will be the next best step?
1. Total hip replacement
2. Arthrodesis
3. Continue the same for a period of 12 months
4. Synovectomy and joint debridement

Correct answer: 4. Synovectomy and joint debridement

Explanation: Tuberculous synovitis Uncommon even in countries where tuberculosis is still rife. Diagnosis should be considered in patients with chronic synovitis once the alternatives such as rheumatoid disease have been excluded, it can be confirmed by synovial biopsy. Rx First line - Chemotherapy and traction No relief - Joint open by posterior approach,joint debridement and Synovectomy done